True about alcohol paranoia:
1. Tremors
2. Fixed hallucinations
3. Fixed delusions
4. Wrist and foot drop

Correct answer: 3. Fixed delusions

Explanation: Ans. Fixed delusions